Prevalence of all clinical cases of polio can be estimated by multiplying the no. of residual paralytic cases by -
1. 1.33
2. 1.25
3. 3
4. 1.99

Correct answer: 1. 1.33

Explanation: Ans. is 'a' i.e., 1.33 o The most accurate technique to measure the prevalence of polio in a community is a 'house to house' survey of 'lameness and muscle wasting' due to polio (in children between 5-10 years). The total prevalence of residual paralysis due to poliomyelitis could then be estimated by multiplying prevalence of lameness by a factor of 1.25 and reporting it as cases per 1000. However, all clinical cases of polio do not result in residual paralysis. About one fourth of the clinical cases, result in deaths or complete recovery, etc. and therefore are missed in a survey for residual paralysis. This indicates that the actual prevalence of all clinical cases will be more than that of residual paralysis. The total prevalence of all clinical cases could be made by multiplying the prevalence rate of residual paralysis by a factor of 1.33.